Characteristic of anaerobic bacteria is:
1. Fail to grow in aerobic media
2. Foul smelling discharge
3. Gas in tissue
4. All of the above

Correct answer: 4. All of the above

Explanation: Anaerobic bacteria are those bacteria that do not use oxygen for growth and metabolism but uses the energy from fermentation reactions. Clinical signs suggesting infection associated with anaerobes are; Infection close to a mucosal surface (anaerobes are part of normal flora) Foul smelling discharge (due to short chain fatty acids products of anaerobic metabolism) Gas in tissues (due to production of CO2 and H2) Negative aerobic culture Diagnosis is made by anaerobic culture. Must know: Capnophilic bacteria are those that require carbondioxide for growth. Ref: Jawetz, 'Medical microbiology', 23rd Edition, Page 309.